Hereditary retinoblastomas develop due to abnormality in which of the following chromosome?
1. 13ql4
2. 13pl4
3. 14pl3
4. 14ql3

Correct answer: 1. 13ql4

Explanation: Ref: Robbin's Pathology, 9th ed. pg. 1339* Wilm's tumor-Aniridia complex (WAGR syndrome)11 p 13 part of (deletion of short arm of chromosome)* Retinoblastoma13q 14.11 (deletion of part of long arm of chromosome 13)* Prader-Willi syndrome Angelman syndrome15q 11-13 (deletion of part of long arm of chromosome 15)* DiGeorge's syndrome Velo-Cardio-facial syndrome22q11 (deletion of part of long arm of chromosome -22)